A newborn baby has not passed meconium for 48 hours since birth. She has vomiting and distension of abdomen. The most appropriate investigation for evaluation would be
1. Anorectal manometry
2. Rectal biopsy
3. Lower G1 contrast study
4. Trypsin estimation

Correct answer: 3. Lower G1 contrast study

Explanation: C i.e. Lower GI contrast study Lower GI contrast study confirms the diagnosis & indicate the type of involvement, in cases of lower intestinal obstruction causing failure to pass meconium timelyQ.